Subterminal spores are seen in ?
1. Cl perfringens
2. Cl tetani
3. Cl tertium
4. None

Correct answer: 1. Cl perfringens

Explanation: Ans. is 'a' i.e., Cl perfringens